Herpes resistant to acyclovir is treated by
1. Foscarnet
2. Lamivudine
3. Ganciclovir
4. Valocyclovir

Correct answer: 1. Foscarnet

Explanation: A. i.e. Foscarnet Acyclovir is drug of primary choiceQ for herpes infection and foscarnet is drug of choice for acyclovir resistance HSV, herpes zoster & varicella zoster infectionQ.